Which of the following describes cells that are abnormal in appearance and may become premalignant?
1. Aplasia.
2. Dysplasia.
3. Karyomegaly.
4. Pleomorphism.

Correct answer: 2. Dysplasia.

Explanation: Dysplastic cells are abnormal in appearance and organization. The potential to develop into a malignant tumor is present; however, this risk varies.